The following statements are related to tubercular salpingitis except :
1. The abdominal ostium may be patent with eversion of fimbriae
2. The early lesion may be confused with adenocarcinoma on histology
3. Genital tuberculosis is always secondary and the tubes are invariably the primary sites S
4. Salpingitis isthmica nodosa is the exclusive pathology to tuberculosis

Correct answer: 4. Salpingitis isthmica nodosa is the exclusive pathology to tuberculosis

Explanation: Salpingitis isthmica nodosa It is related to tubercular infetion although it may be residue of any form of chronic interstitial salpingitis there is infiltration of tubal mucosa directly into the muscularis resembling adenomyosis It is one form of endometriosis of tube D.C.DUTTA'S TEXTBOOK OF GYNAECOLOGY,Pg no:172,6th edition